Intracellular receptors are found in
1. Insulin
2. Glucagon
3. Corticosteriods
4. Growth hormone

Correct answer: 3. Corticosteriods

Explanation: Receptors for steroid and thyroid hormones are located inside target cells , in the cytoplasm or nucleus , function as ligand dependent transcription factors ....Being lipids, steroid hormones enter the cell by simple diffusion across plasma membrane whereas thyroid hormones enter by facilitated diffusion. Ref guyton and hall textbook of medical physiology 12/e p887-888